Increased blood pressure for > 3 months after delivery ?
1. Pregnancy induced hypertension
2. Essential hypertension
3. Pre eclampsia
4. Gestational hypertension

Correct answer: 2. Essential hypertension

Explanation: Ans. is 'b' i.e., Essential hypertension Diagnostic criteria for essential hypertension in pregnancyRise in BP >140/ 90 mm Hgprior to 20th week of pregnancy.Cardiac enlargement on chest radiograph and ECG.Presence ofmedical disorders. Prospective follow up shows rise in BP ever after 42 days following delivery.